HDI consists all EXCEPT:
1. Real GDP per capita income
2. Life expectancy at birth
3. Literacy rate and gross enrollement ratio
4. Range 0 to 100

Correct answer: 4. Range 0 to 100

Explanation: Ans. (d) Range 0 to 100Ref: K. Park 23rtl ed. /17PQLI (Physical Quality of Life IndexHDI (Human Development Index)Literacy rateLiteracy rateInfant mortality rateIncomeLife expectancy (at 1 year)Life expectancy () birth)Range: 0 and 100Range: 0 and +1Value in India: 650.547Also Know* Range of correlation coefficient; 1 to +1